Below the pectineal line the lymphatic spread is to .....nodes-
1. Superficial inguinal
2. Internal iliac
3. External iliac
4. Para aortic

Correct answer: 1. Superficial inguinal

Explanation: Ans. is 'a' i.e., Superficial inguinal